Patient with pruritic lesion over Left shoulder showing cigarette paper atrophy and poikiloderma with generalized lymphadenopathy. Histopathology exmanination of lesion shows CD4 positive sezary leutzner cells. What is the dermoepidermal manifestation of this disease?
1. Pautrier's micro abscess
2. Pin point ulcers
3. Discharging sinus
4. Miliaria

Correct answer: 1. Pautrier's micro abscess

Explanation: Ans. is 'a' i.e., Pautrier's micro abscess Patient with pruritic lesion over Left shoulder showing cigarette paper atrophy and poikiloderma with generalized lymphadenopathy. Histopathology exmanination of lesion shows CD4 positive sezary leutzner cells --> points to the diagnosis of Mycosis fungoides. Histological features of mycosis fungoides Histological hallmark is the presence of sezary-Lutzner cells (CD4 positive). These sezary-Lutzner cells form band like aggregates within superficial dermis and invade epidermis as single cells and small clusters, referred to as pautrier microabscess. There is pronounced infiltration of sezary-lutzner cells into epidermis which is referred to as epidermotropism. In more advanced nodular stage these malignant T cells (sezary cells) lose their epidermotropic tendency and grow deeply into the dermis, and eventually seed lymphatics and peripheral circulation.